In Gaucher's diseases, there is deficiency of -
1. Glucocerebrosidase
2. Glucokinase
3. Sphingomyelinase
4. G-6PD

Correct answer: 1. Glucocerebrosidase

Explanation: Ans. is 'a' i.e., Glucocerebrosidase o Gaucher's disease is due to deficiency of (3-glucosidase (glucocerebrosidase).o This question is repeat front AH MS 97.DiseaseEnzyme deficiencyLipid accumulatedTay-sach diseaseHexosaminidase AGM, gangliosideSandoff diseaseHexosaminidase BGM,gangliosideNiemann-Pick diseaseSphi ngomyel inaseSphingomyelineFarber's diseaseCeram idaseAcyl-sphingosine (ceramide)Fabry's diseasea-galactosidaseGlobotri sy IceramideKrabbe's diseaseb-galactosidase(Galactosylceramidase)GalactosvlceramideGaucher's diseaseb-gl ucosidase (gl ucoccrebrosi dase)Glueosy IceramideMetachromatic leukodystrophyArylsulfatase A3-Suffoga!actosy!ceramide